Seen in a fresh dead body, which of the following features is suggestive of antemortem drowning?
1. Fine leathery forth
2. Thick mucoid forth
3. Blood stained forth
4. Any of the above

Correct answer: 1. Fine leathery forth